Wavelength of Femtosecond laser is
1. 514
2. 1064
3. 1053
4. 714

Correct answer: 3. 1053

Explanation: Femtosecond - 1053 nm
nd - Yag - 1064 nm.